Most potent cycloplegic among the following
1. Tropicamide
2. Cyclopentolate
3. Atropine
4. Umeclidinum

Correct answer: 3. Atropine